The energy for glycogenesis is provided by
1. GTP
2. GDP
3. UTP
4. AMP

Correct answer: 3. UTP

Explanation: UDP glucose is formed from glucose-1-phosphate and UTP (uridine triphosphate) by the enzyme UDP-glucose pyrophosphorylase. UDP-glucose pyrophosphorylase Glucose-1- --------------- UDP-glucose phosphate +UTP + PPiRef: DM Vasudevan, 7th edition, page no: 125